Which one of the following describes the flavouring substance asafoetida (Fling)?
1. Dried leaf extract
2. Exudate from chopped roots
3. Pith of stem boiled and dried
4. Dried and hardened paste of fruit

Correct answer: 2. Exudate from chopped roots

Explanation: Ans. is 'b' i.e., Exudate from chopped roots